Sustained Response to antiviral therapy (IFN + Ribavarin) in hepatitis C is indicated by
1. High HCV-RNA
2. Cirrhosis
3. Age > 40 years
4. Female sex

Correct answer: 4. Female sex

Explanation: Answer is D (Female sex): Female sex is a favourable feature, associated with sustained responsiveness to antiviral therapy Male sex is associated with reduced responsiveness. Reduced Responsiveness Genotype 1 High levels of HCV RNA Adranced fibrosis (ciorrhosis, bridging fibrosis) Long duration disease Age > 40 years I mmunosupression African American Obesity Hepatic steatosis Reduced adherence Male sex (Handbook of Gastroenterology) Sustained Responsiveness Genotype 2 and 3 Low levels of HCV RNA Minimal fibrosis Short duration disease Age < 40 years Immunocompetance Others Absence of obesity Absence of Hepatic steatosis Increased Adherence Female sex (Handbook of Gastroenterology)